Flushing is common in patient taking which of the follwing oral hypoglycemic drug with alcohol:
1. Chlorprompamide
2. Phenformin
3. Glibenclamide
4. Tolazamide

Correct answer: 1. Chlorprompamide

Explanation: Chlorpropamide is a first generation sulphonylurea. It causes cholestatic jaundice, intolerance to alcohol in predisposed subjects(flushing and a disulfiram like reaction). Disulfiram like reaction seen with: chlorpropomide, tolbutamide, metronidazole, gresiofulvin, cefoperazone, cefomandole etc (REF.Essential of medical pharmacology K D TRIPATHI 6 Edition, Page No - 267)